'Tennis elbow' is characterized by
1. Tenderness over the medial epicondyle
2. Tenderness of common extensor origin
3. Tendinitis of common flexor origin
4. Painful flexion and extension

Correct answer: 2. Tenderness of common extensor origin

Explanation: Tennis Elbow (Lateral Epicondylitis) This is the most common cause of elbow pain excluding traumatic conditions Usually occur in patients of 30-40 years, etiology is unknown in most cases Strenous or over activity may precede spymptoms Anterodistal lateral epicondyle tenderness Diagnosis Resisted wrist extension is a reliable diagnostic test Local anaesthetic injection is diagnostically helpful Treatment Vast majority improve with supervised Conservative management Open or arthroscopic release yields good results in recalcitrant cases Arthroscopic release also identifies associated pathology Ref: Bailey and love 27th edition Pgno : 448